Accessory canals are most frequently found in:
1. The cervical one third of the root
2. The middle one third of the root
3. The apical one third of the root
4. With equal frequency in all the above mentioned

Correct answer: 3. The apical one third of the root